Joint erosions are not a feature of :
1. Rheumatoid arthritis
2. Psoriasis
3. Multicentric reticulohistiocytosis
4. Systemic lupus erythematosus

Correct answer: 4. Systemic lupus erythematosus

Explanation: Answer is D (Systemic Lupus Erythematosus): SLE is characterised typically by a non-erosive Arthritis (erosions are rare). All other options mentioned in the question may have an erosive picture.